GABA- B receptor is which type of receptor -
1. Inotropic receptor
2. Metabotropic transmembrane receptor
3. Ligand gated ion channel
4. Intrinsic ion channel

Correct answer: 2. Metabotropic transmembrane receptor

Explanation: Ans: B. Metabotropic transmembrane receptor(Ref : KDT //e p. 399, 402 6 6h/e p. 395; Katzung 17th/e p' 377-378; lP/e p' 355)Metabotropic recePtors:Are G-protein coupled receptors which act through second messenger.Examples: GABA-B receptors, Muscarinic (M1 to M5)